Nerve passing through the spiral groove of the humerus is -
1. Radial Nerve
2. Ulnar Nerve
3. Musculocutaneous Nerve
4. Interosseous Nerve

Correct answer: 1. Radial Nerve

Explanation: The radial nerve passes through the humerus spiral groove and the arch formed by the attachment of the humerus and triceps. It also passes through the lateral intermuscular septum and the Arcade of Frohse. This is located below the elbow but above the supinator.